Sickness absenteeism is a useful to assess
1. Workers management relationship
2. Working environment
3. Status of the health of the workers
4. Working capacity of the workers

Correct answer: 3. Status of the health of the workers

Explanation: Ref:Park's Textbook of Preventive and Social Medicine 25 th Ed